Drugs used in alcohol dependence to prevent relapse are all except ?
1. Nalmefene
2. Topiramate
3. Ondansetron
4. Fluoxetine

Correct answer: 4. Fluoxetine

Explanation: Ans. is 'd' i.e., Fluoxetine Drugs used for alcohol dependence to prevent relapse are: Naltrexane Acamprosate Ondansetron Nalmefene Disulfiram Topiramate